All of the following statements about inhaled
tooth fragment are true EXCEPT
1. It usually enters the right bronchus
2. It may cause Lung abscess
3. It may cause bronchiectasis
4. It will be coughed out spontaneously no treatment is necessary

Correct answer: 4. It will be coughed out spontaneously no treatment is necessary